Alpha I antitrypsin deficiency occurs in -
1. Emphysema
2. Bronchiectasis
3. Empyema
4. Bronchogenic carcinoma

Correct answer: 1. Emphysema

Explanation: Ans. is `a' i.e., Emphysema